Characteristic of Bacillus cereus food poisoning is?
1. Presence of fever
2. Presence of pain in abdomen
3. Absence of vomiting
4. Absence of diarrhoea

Correct answer: 2. Presence of pain in abdomen

Explanation: Ans. is 'b' i.e., Presence of pain in abdomen . Bacillus cereus causes two types of food poisoning :- i) Emetic type :- characterised by nausea, vomiting and diarrhoea ii) Diarrhoea' type :- characterised by abdominal cramps and diarrhoea.